Which of the following best describes mycosis fungoides?
1. fungal infection of the epidermis
2. benign skin lesion
3. cutaneous lymphoma
4. dermatitis

Correct answer: 3. cutaneous lymphoma

Explanation: Mycosis fungoides is best described as a cutaneous T-cell lymphoma. Lesions may remain confined to the skin for years, and internal organ involvement occurs when the disease advances into late stages. It is a disorder involving T lymphocytes. Treatment is usually palliative rather than curative.